Rural health scheme intriduced by?
1. Bhore committee
2. Mukherjee comminttee
3. Shrivastava committee
4. Mudaliar Committee

Correct answer: 3. Shrivastava committee

Explanation: - the most important recommendation of Shrivastav Committee was that primary health care should be provided within the community itself through specially trained workers so that the health of the people placed in hands of the people themselves. - the basic recommendation of the committee were accepted by government in 1977, which led to the formation of Rural Health Scheme. Reference : Park's textbook of preventive and social medicine, 23rd edition, pg no:875